Which muscle is called the Peripheral heart of body?
1. Gastronemius
2. Soleus
3. Gracilis
4. Tibialis Posterior

Correct answer: 2. Soleus

Explanation: In an upright posture, the soleus is responsible for pumping venous blood back into the heart from the periphery and is often called the skeletal-muscle pump, peripheral heart or the sural (tricipital) pump. Soleus muscles have a higher proportion of slow muscle fibers than many other musclesReference: Chaurasia Volume II; 7th edition; Page no: 116